β - Blocker with maximum half life
1. Propanalol
2. Metaprolol
3. Bopindolol
4. Nadalol

Correct answer: 4. Nadalol

Explanation: Nadalol is a non selective water soluble β blocker with longest half life.
Esmolol metabolized by plasma esterase has the shortest half life.